Anterior cruciate ligament attached to:
1. Medial part of medial femoral condyle
2. Lateral part of medial femoral condyle
3. Medial part of lateral femoral condyle
4. Lateral part of lateral femoral condyle

Correct answer: 3. Medial part of lateral femoral condyle

Explanation: Ans. C. Medial part of lateral femoral condyleCruciate ligaments are two thick, strong fibrous bands, which act as direct bonds of union between the femur and tibia. They are present inside the knee joint. They maintain anteroposterior stability of the knee joint. They are named anterior and posterior according to their site of attachment to the tibia. The ligaments cross each other like the letter "X" hence the name cruciate.The anterior cruciate ligament is attached below to the anterior part of the intercondylar area of the tibia. It runs upward, backward, and laterally and is attached to the posterior part of the medial surface of the lateral condyle of femur. It is taut during extension of the knee and prevents the anterior dislocation of tibia on femur.